Marker for ovarian carcinoma in serum is -
1. CA-125
2. Fibronectin
3. Acid Phosphatase
4. PSA

Correct answer: 1. CA-125

Explanation: Ans. (a) CA-125(Ref: Robbins 9th/pg 1033; Am J Prev Med 13 (6): 444-6)*CA125- is a glycoprotein*Elevated levels in epithelial ovarian cancers*CA-125 is the most frequently used biomarker for ovarian cancer detectionElevated CA125- not a specific marker*In other cancers, including endometrial cancer, fallopian tube cancer, lung cancer, breast cancer and gastrointestinal cancer.*Benign conditions, such as endometriosis, PID, cirrhosis and diabetes mellitus